Insertion of levator scapulae is-
1. Lateral border of scapula
2. Suprolateral part of scapula
3. Superior part of medial scapula border
4. Inferior angle of scapula

Correct answer: 3. Superior part of medial scapula border

Explanation: Ans. is 'c' i.e., Superior part of medial scapula border Levator scapulaeOriginPosterior tubercles of transverse processes of Cl - C4 vertebraeInsertionSuperior part of medial border of scapulaArterydorsal scapular arteryNervecervical nerve (C3, C4) and dorsal scapular nerve (C5)ActionsElevates scapula and tilts its glenoid cavity inferiorly by rotating scapula